Complications of placenta previa include all except ___________
1. Malpresentation
2. Premature labor
3. Rapid dilation of cervix
4. Retained placenta

Correct answer: 3. Rapid dilation of cervix

Explanation: Complication of placenta pre: Maternal complications Antepartum Labour Postpartum Puerperium APH Cord Prolapse PPH Sepsis Malpresentation Intrapartum hemorrahage Retained placenta Premature labour Early rupture of membranes Associated abruptio: 10% Fetal complications Low birth weight: 15% (Most common fetal complication) Birth Asphyxia IUD Birth injuries Congenital malformation (3X risk) Most common complication of abruptio placenta: Prematurity Most common complication of placenta prec: LBW Ref: DC Dutta's Textbook of Obstetrics 8th edition Pgno: 288, 289